Hockey stick appearance on echo is a feature of
1. Mitral stenosis
2. Mitral incompetence
3. Aortic stenosis
4. Aortic regurgitation

Correct answer: 1. Mitral stenosis

Explanation: Echocardiographic features of mitral stenosis:-Thickened and calcified mitral leaflets and subvalvular apparatus -Decreased E-F slope (M-mode)-Hockey stick appearance of the anterior mitral leaflet in diastole(long axis view)-Immobility of the posterior mitral leaflet (a similar appearance can be seen in hypereosinophilia or ergot use)-Fish mouth orifice in the short axis view-Increased LA size, with the potential for thrombus formationDynamic CT: the Restricted opening of the thickened valve from commissural fusion (especially with rheumatic valve disease), valve calcification, or both results in a "fish-mouth" appearance on short-axis images. Bowing of a thickened and fibrotic anterior leaflet during diastole may result in a "hockey-stick" appearance which is best seen on two- or four-chamber images(Ref: The echo manual by Jae K Oh; J B Seward; A Jamil Tajik, page no 202)